An old man presenting to the Emergency following a bout of prolonged vomiting with excessive haematemesis following alcohol ingestion is likely to suffer from -
1. Mallory-Wesis syndrome
2. Oesophageal varices
3. Gastric cancer
4. Bleeding disorder

Correct answer: 1. Mallory-Wesis syndrome

Explanation: Ans. is 'a' i.e., Mallory-Wesis syndrome "Mallory Weiss syndrome, characterized by acute upper gastrointestinal bleeding following repeated vomiting, is considered to be the cause up to 15% of all severe upper gastrointestinal bleeds".